Most common ovarian tumour to undergo torsion:
1. Pseudomucinous cystadenoma
2. Papillary cystadenoma
3. Dermoid cyst
4. Mucinous cyst

Correct answer: 3. Dermoid cyst

Explanation: Dermoid cyst